Study of multiplication of proteins in disease process is called -
1. Proteomics
2. Genomics
3. Glycomics
4. Nucleomics

Correct answer: 1. Proteomics